A child presented with headache, dizziness, intermittent claudication with occassional dyspnoea. The most probable diagnosis in :
1. ASD
2. PDA
3. TOF
4. Coarctatation of aorta

Correct answer: 4. Coarctatation of aorta

Explanation: Answer is D (Coarctation of aorta) Tht child is prc.sentinwith characteristic features of coarctution of aorta.